The most common site of vulval cancer:
1. Labia majora
2. Labia minora
3. Prepuce of the clitoris
4. Bartholin's gland

Correct answer: 1. Labia majora